Lactating women with painful breast, 1st investigation to be done should be:
1. USG
2. Mammography
3. CT
4. MR1

Correct answer: 1. USG

Explanation: Ans. USG